Increased LAP score is seen in:
1. Chronic myeloid leukemia
2. Myelofibrosis
3. PNH
4. Megaloblastic anemia

Correct answer: 2. Myelofibrosis